Urinary incontinence in uterovaginal prolapse is mostly is due to :
1. Detrusor instability
2. Stress incontience
3. Urge incontinence
4. True incontinence

Correct answer: 2. Stress incontience

Explanation: Stress incontience